Not a baby friendly hospital recommendation ?
1. Breast feeding with half-hour of birth
2. Breast feeding on demand
3. Use of artificial teats when required
4. No oral feed other than breast milk

Correct answer: 3. Use of artificial teats when required

Explanation: Ans. is 'c' i.e., Use of artificial teats when required Baby friendly hospital initiatives Baby friendly hospital initiative (BFHI) was launched for promotion, protection and support of breastfeeding. It was launched by WHO and UNICEF. BFHI has listed following ten steps, which the hospital must fulfill. Have a written breastfeeding policy that is routinely communicated to all health care staff Train all health care staff in skills necessary to implement this policy. Inform all pregnant women about the benefits and management of breastfeeding. Help mothers initiate berastfeeding within a half-hour of birth. Show mothers how to breastfeed, and how to maintain lactation even if they should be separated from their infants. Give newborn infants no food or drink other than breastmilk, unless medically indicated. Practice rooming-in-allow mothers and infants to remain together - 24 hours a day. Encourage breastfeeding on demand. Give no artificial teats or pacifiers (also called dummies or soothers) to breastfeeding infants. Foster the establishment of breastfeeding support groups and refer mothers to them on discharge from the hospital or clinic.